Imatinib mesylate is used in the treatment of:
1. GIST
2. Seminoma
3. MALT
4. Zollinger Ellison syndrome

Correct answer: 1. GIST

Explanation: Ref: Goodman tfr Gilhnan, The pharmacological basis of therapeutics, !2:" edition, Pg No. 1732-1734.Explanation:Imatinib mesylate is used in the treatment of:Chronic phase of CMLGIST- Gastrointestinal Stromal tumorChronic Myelomonocytic leukemiaHypereosinophilic syndromeDermatofibrosarcoma protruberance